What is true about ischiorectal fossa:
1. Apex is formed by obturater internus
2. Levater ani forms the roof
3. Lateral wall is formed by inferior pubic ramus
4. Communicates with the other side Posteriorly

Correct answer: 4. Communicates with the other side Posteriorly

Explanation: D. i.e. Communicates with other side posteriorly